ASHA ( accredited social health activist) works at
1. Community level
2. Village level
3. PHC level
4. District level

Correct answer: 2. Village level

Explanation: In NRHM at village level with 1000 population, one ASHA and AWWs are present Ref: Park's textbook of preventive and social medicine 23rd edition